A young athlete after rigorous training and strict diet control develops 'washboard stomach'. Which of the following structure mark its lateral border ?
1. Linea alba
2. Linea semilunaris
3. Linea semicircularis
4. Transversalis fascia

Correct answer: 2. Linea semilunaris

Explanation: * "Washboard stomach" refers to very strong,well-definedabdominalmuscles. * Its lateral border is marked by linea semilunaris which is a curved line along the lateral border of the rectus abdominis. * Linea semicircularis (Arcuate line) defines the lower limit of the posterior layer of the rectus sheath * Linea alba is a tendinous median raphe between the two rectus abdominis muscles. * The falx inguinalis (conjoint tendon) is formed by aponeuroses of the internal oblique and transverse abdominal muscles